Neutropenia is associated with:
1. Nafcillin
2. Methicillin
3. Carbencillin
4. Ampicillin

Correct answer: 1. Nafcillin

Explanation: NAFCILLIN:It is a narrow spectrum beta lactam antibiotic. Pharmacology Mechanism of Action Inhibit synthesis of bacterial cell wall synthesis, which results in bactericidal activity Pharmacokinetics Half-Life: 0.5-1.5 hr (adults); 0.75-1.9 hr (children) Peak Plasma Time: 0.5-1 hr Protein binding: 90% Absorption: Poorly absorbed orally Distribution: In fluid, bone, bile, crosses placenta. Adverse Effects 1-10%: Hypersensitivity Neutropenia Interstitial nephritis Possible hypokalemia <1%: Neurotoxicity (high doses) Pseudomembranous colitis Phlebitis (oxacillin preferred in peds) REFERANCE:reference.medscape.com